Space disse is seen in
1. Spleen
2. Kidney
3. Liver
4. Small intestine

Correct answer: 3. Liver

Explanation: Inderbir Singh's Human Histology SIXTH Edition Space of disse is seen in liver